Involvement of pyramidal tract leads to all of the following except
1. Spasticity
2. Fasciculation
3. Hyper-reflexia
4. Positive babinski sign

Correct answer: 2. Fasciculation

Explanation: Ans. is 'b' i.e., Fasciculation